A man presents with chest pain. ECG shows ST segment depression in leads V1–V4. Which of the following should not be given ?
1. Beta blocker
2. Thrombolytic
3. Morphine
4. Aspirin

Correct answer: 2. Thrombolytic